Which one of the following is not an adverse effect of salbutamol -
1. Tachycardia
2. Tolerance
3. Hypokalemia
4. Hypoglycemia

Correct answer: 4. Hypoglycemia

Explanation: Ans. is 'd' i.e., Hypoglycemia o Inhaled b-agonists have very few side effects. These are : (i) Muscle tremer & palpitation most common;(ii) hypokalemia; (iii) hyperglycemia; (iv) Tolerance; (v) Throat irritation; (vi) Ankle edema; and (vii) others (anxiety, headache, muscle cramps, dry mouth, arrhythmias , flushing & vasodilatation, hypoxemia, MI, sleep disturbance).